Inferior rectal artery is a branch of?
1. Inferior mesenteric artery
2. Superior mesenteric artery
3. Coeliac trunk
4. Internal pudendal artery

Correct answer: 4. Internal pudendal artery

Explanation: Ans. is 'd' i.e., Internal pudendal artery